True about anthrax toxin are all except:
1. Has three fractions
2. Increase cAMP
3. Coded by plasmid
4. Inhibits protein synthesis

Correct answer: 4. Inhibits protein synthesis

Explanation: Ans. is. 'd' i. e. Inhibits protein synthesis